True about primary aldosteronnism -a) Pedal oedemab) Increased reninc) Increased Na+d) Decreased K.+ e) Hypertension
1. abd
2. acd
3. cde
4. ade

Correct answer: 3. cde